Between 2 countries mortality compared best by -
1. Age adjusted rates
2. Crude rates
3. Proportional rates
4. None

Correct answer: 1. Age adjusted rates

Explanation: Ans. is `a' i.e., Age adjusted rates